Basal exudates, infarcts and hydrocephalus are findings observed in Brain imagine studies. The most likely diagnosis is -
1. Tubercular Meningitis
2. Viral Meningitis
3. Herpes encephalitis
4. Cerebral Malaria

Correct answer: 1. Tubercular Meningitis